Alginates are
1. Sol
2. Gel
3. Hydrocolloid
4. Colloid

Correct answer: 3. Hydrocolloid